False about disaster management
1. Response in pre-disaster phase
2. Mitigation in pre-disaster phase
3. Gastroenteritis is commonest infection after disaster
4. Yellow color is for medium priority

Correct answer: 1. Response in pre-disaster phase